Most common congenital anomaly of the larynx is:
1. Laryngomalacia
2. Subglottic stenosis
3. Laryngeal web
4. Subglottic haemangioma

Correct answer: 1. Laryngomalacia

Explanation: Laryngomalacia is the most common congenital laryngeal anomaly.This is followed by:(i). congenital vocal cord paralysis and(ii). congenital subglottic stenosis.